Which one of the following is not a characteristic feature of rheumatoid arthritis?
1. Sacroilitis
2. Metacarpophalangeal joint involvement
3. Symmetrical arthritis
4. Positive rheumatoid factor

Correct answer: 1. Sacroilitis

Explanation: In 80%of Rheumatoid arthritis have serum IgM autoantibodies that bind to fc portion of the IgG. These autoantibodies are called rheumatoid factor. Arthritis and metacarpophalangeal joints involvement is surely present in rheumatoid arthritis. But sacrolitis is not at all related to rheumatoid arthritis. It is a condition in which one or both sacroiliac bones are affected with inflammation. In this condition there is pain in buttock or lower back. Ref:Robbins basic pathology 9th edition page no 784 785,786